Tinea Capitis is caused by all except
1. Epidermophyton
2. Microsporum
3. Tinea violaceum
4. Tinea schoenleinii

Correct answer: 1. Epidermophyton

Explanation: Tinea capitis - caused by Microsporum and Trichophyton. Tinea schoenleinii and Tinea violaceum cause us. Reference: Textbook of Microbiology; Baveja; 4th edition